According to American College of Rheumatology, all of the following are clinical criteria for the diagnosis of osteoarthritis, EXCEPT:
1. Lack of warmth
2. Atrophy of quadriceps muscles
3. Crepitus
4. Age > 50 years

Correct answer: 2. Atrophy of quadriceps muscles

Explanation: Clinical criteria for the diagnosis of osteoarthritis, established by the American College of Rheumatology, include: Age > 50 years Stiffness < 30 minutes Crepitus Bony tenderness Bony enlargement Lack of warmth The presence of 3 of these 6 criteria in the patient with chronic knee pain is 95% sensitive and 69% specific for the diagnosis of osteoarthritis. Ref: Gross A., Ma C.B. (2013). Chapter 12. Approach to the Patient with Knee Pain. In J.B. Imboden, D.B. Hellmann, J.H. Stone (Eds), CURRENT Diagnosis & Treatment: Rheumatology, 3e.